Luxato erecta is another name for -
1. Inferior shoulder dislocation
2. Anterior shoulder dislocation
3. Posterior shoulder dislocation
4. Superior shoulder dislocation

Correct answer: 1. Inferior shoulder dislocation

Explanation: Ans. is 'a' i.e., Inferior shoulder dislocation Inferior dislocation (Luxation Erecta)* Here the head of the humerus is below the glenoid cavity and the humeral shaft is pointing overhead.* It is due to hyperabduction injury.* It is rare and also called luxatio erecta because the humeral head is subluxated (dislocated inferiorly) and humerus shaft points upwards (erected).* The starting picture of a patient with his/her arm locked in almost full abduction!elevation, should make diagnosis quite easy. The patient comes with his arm fixed almost by the side of his head.* Potentially serious consequences e.g., neurovascular damage is quite common.* It is reduced by pulling upwards in the line of abducted arm with countertraction downwards. Tests for Inferior shoulder instability* Sulcus sign- The patient stands with the arm by the side and shoulder muscles relaxed. The examiner grasps the patient's forearm below the elbow and pulls the arm distally. A positive test suggesting inferior instability of the shoulder is indicated if the patient's pain is reproduced and/or a sulcus appears distal to the acromian.